All of the following cause Hyperventilation except:
1. Decreased pH in CSF
2. Decreased plasma HCO3
3. CO poisoning
4. Increased adrenergic levels

Correct answer: 3. CO poisoning

Explanation: C i.e. CO poisoning